Chief cells are found in which part of gastric gland ?
1. Fundus
2. Pit
3. Neck
4. Body

Correct answer: 1. Fundus

Explanation: Gastric gland is separated from gastric pit by isthmus and is lined by gastric epithelium and contains gastric lumen in centre. Gastric gland contains neck, body and Fundus or base. Neck contains mucous neck cells and below that we have parietal cells. Fundus or base contains chief cells and G cells. G cells are enteroendocrine cells which secretes gastrin in blood.